Which of the following statements about Insulinoma is true:
1. Present in Pancreas
2. Mostly malignant
3. Surgery is usually not required
4. Usually multiple

Correct answer: 1. Present in Pancreas

Explanation: Answer is A (Present in Pancreas): The most common site of Insulinomas is the Pancreas.